65-year-old man presents with anaemia and posterior column dysfunction, the likely cause is -
1. B1-deficit
2. B12-deficit
3. SSPE
4. Multiple selerosis

Correct answer: 2. B12-deficit